Ascending palatine artery is a branch of:
1. Internal carotid artery
2. External carotid artery
3. Facial artery
4. Ascending pharyngeal artery

Correct answer: 3. Facial artery